Tuberculin test is reaction of:
1. Anaphyxis mediated
2. Cell mediated
3. Antibody mediated
4. Immuno complex mediated

Correct answer: 2. Cell mediated

Explanation: (Cell mediated): Ref: 196- CP, 160-AN 7thTypes of hypersensitivity reaction and their featuresType of reactionClinical syndromesType I (Anaphylactic IgE or region dependant)Antibodies (cytotropic IgE) dependent(I) Anaphylaxis(II) Atopy1. Theobald Smith phenomenon in animals (Guinea pigs) 2. Prausnitz - Kustner (PK) reaction (GI allergy to certain cooked fish)3. Casoni's test (skin test)Type II (cytotoxic or cell stimulating)Antibody mediated damage - Thrombocytopenia, agranulocytosis, hemolytic anemiaType III (Immune complex or toxic complex disease)1. Arthrus reactions2. Serum sicknessType IV (Delayed or Cell mediated hypersensitivity1. Tuberculin (Lepromin, Frie's test, Histoplamsin and toxoplasmin test,2. Granulomatous type (Mitsuda reaction to leprosy Ag)3. Contact dermatitis (patch test)4. Graft rejection (chronic)5. Jones - Mole reaction (cutaneous basophil hypersensitivity)Type V stimulating type reaction: It is a modification of type II hypersensitivity reaction eg Grave's disease - in which thyroid hormones are produced in excess amountThyroid stimulating antibody (LATs) is a specific thyroid auto antibody to thyroid membrane antigens, LATs can cross placenta which may lead to hyperthyroidism in neonates.Antibody - Dependent Cell Mediated Cytotoxicity (ADCO Type VI hyper sensitivity reaction - While most workers prefer include the entity under immediate type (Type I hypersensitivity reaction) because of involvement of circulating Ig. ADCC is mediated through NK cells and the cytoplasmic mechanism is independent of compliment (206-C)